Bilateral Renal cell carcimoma is seen in ?
1. Eagle Barett's syndrome
2. Beckwith Weideman syndrome
3. Von Hippel Lindau disease
4. Bilateral Angiomyolipoma

Correct answer: 3. Von Hippel Lindau disease

Explanation: Ans. is 'c' i.e., Von Hippel Lindau diseaseAmongst the given options, renal cell carcinoma occurs only in Von Hippel Lindau disease.